All the following are TRUE in Immune thrombocytopenic Purpura (ITP) EXCEPT
1. Chronic ITP commonly occur in adult women
2. Associated with normal bleeding time
3. Prothrombin Time (PT) & Partial Thromboplastin Time (PTT) are normal
4. Increased megakaryocytes in bone marrow

Correct answer: 2. Associated with normal bleeding time